Receptors of which of the following hormone is present intracellularly in muscle cells?
1. Insulin
2. Corticosteroid
3. Epinephrine
4. Glucagon

Correct answer: 2. Corticosteroid

Explanation: Steroid hormones act on cytoplasmic receptors intracellularly in muscle cell . Ref: Essentials of Medical Pharmacology By KD Tripathi, 5th Edition, Page 214.